Drug effective pharmacologic interventions for management of smoking cessation
1. Bupropion
2. Varenicline
3. Clonidine
4. All of the above

Correct answer: 4. All of the above

Explanation: Ans. d (All of the above) (Ref. H-17th/1641; Table 390-3)Effective pharmacologic interventions for cesation of smoking:First-line therapiesSecond-line therapies# Nicotine gum# Clonidine# Nicotine patch# Nortriptyline# Nicotine nasal inhaler # Nicotine oral inhaler # Nicotine lozenge # Bupropion # Varenicline